All of the following are cardiovascular complications of HIV infection, EXCEPT:
1. Aortic Aneurysm
2. Cardiomyopathy
3. Pericardial Effusion
4. Cardiac Tamponade

Correct answer: 1. Aortic Aneurysm

Explanation: The most common cardiac disease associated with HIV is coronary heart disease, it is associated with a CD4+ T cell count of <500/ L. Other cardiac manifestations include dilated cardiomyopathy associated with congestive heart failure (CHF) ( HIV-associated cardiomyopathy), pericardial effusions, cardiac tamponade and nonbacterial thrombotic endocarditis. Ref: Harrison's Internal Medicine, 18th Edition, Page 189;Hospital Medicine By Robert.M.Watchter, Page 479